Risk of Aspiration is high in
1. U/L recurrent Laryngeal nerve palsy
2. B/L recurrent Laryngeal nerve palsy
3. Adductor palsy
4. B/L complete palsy

Correct answer: 4. B/L complete palsy